All are true about Meissner's corpuscles except
1. It is the most sensitive tactile receptors in the hand
2. It is rapidly adapting tactile receptors
3. It is located in dermal papillae
4. It helps in detection of pressure sensation

Correct answer: 4. It helps in detection of pressure sensation

Explanation: Meissner's corpuscles helps to detect fine / light touch and two-point discrimination not pressure sensation.